Which of the following condition causing malabsorption has no effect on villus architecture and no inflammatory reaction?
1. Giardiasis
2. Crohn's
3. Whipple's
4. Abetalipoprotienemia

Correct answer: 4. Abetalipoprotienemia

Explanation: Answer is D (Abetalipoprotenemia) Abetalipoproteinemia is typically associated with normal villas architecture and no inflammatory reaction. Features of lipid accumulation within enterocytes (vacuolated epithelial cells) is diagnostic and specific. Crohn's Disease and Whipple's disease are typically associated with inflammation. Giardiasis also does not induce significant villous architectural change or an inflammatory response. Majority of patients with Giardiasis have none or relatively mild abnormalities of villous architecture and no or minimal inflammation. However the full spectrum of abnormalities ranging from normal to subtotal villous atrophy has been described in human giardiasis. Patients with symptomatic giardiasis may have normal villous architecture with no mucosal inflammation and if abetalipoproteinemia was not provided amongst the options, Giardiasis should have been the single best answer of choice. Patients with symptomatic giardiasis may have normal villous architecture with no mucosal inflammation and if abetalipoproteinemia was not provided amongst the options, Giardiasis should have been the single best answer of choice